The first priority in management of a case of head injury with open fracture of shaft of femur is:
1. Neurosurgery consultation
2. Give IV fluids
3. Intubation
4. Splintage of fracture

Correct answer: 3. Intubation

Explanation: Ans. c. Intubation